All of the following are ketone bodies produced in fatty acid oxidation, EXCEPT:
1. Acetone
2. Acetoacetate
3. a-Ketoglutarate
4. b-hydroxybutyrate

Correct answer: 3. a-Ketoglutarate

Explanation: Increased fatty acid oxidation is a characteristic of starvation and of diabetes mellitus, and leads to ketone body production by the liver (ketosis). Under metabolic conditions associated with a high rate of fatty acid oxidation, the liver produces considerable quantities of acetoacetate and beta-hydroxybutyrate. Acetoacetate continually undergoes spontaneous decarboxylation to yield acetone. These three substances are collectively known as the ketone bodies. Acetoacetate and 3-hydroxybutyrate are interconverted by the mitochondrial enzyme D(-)-3-hydroxybutyrate dehydrogenase. Ref: Botham K.M., Mayes P.A. (2011). Chapter 22. Oxidation of Fatty Acids: Ketogenesis. In D.A. Bender, K.M. Botham, P.A. Weil, P.J. Kennelly, R.K. Murray, V.W. Rodwell (Eds), Harper's Illustrated Biochemistry, 29e.